Carbenicillin
1. Is effectivr in pseudomonas infection
2. Has no effect in Proteus infection
3. Is a macrolide antibiotic
4. Is admistered orally

Correct answer: 1. Is effectivr in pseudomonas infection

Explanation: Carbenicillin Is a Pencillin congener effective against pseudomonas and indole positive Proteus which are not inhibited by Pencillin G It is inactive orally and excreted rapidly in urine It is sensitive to Pencillinase and acid So admistrmeed parenterally Refer KDT 6/e p702